Late onset hemorrhagic disease of newborn is characterized by all of the following features, EXCEPT:
1. Usually occurs in cow-milk fed babies
2. Onset occurs at 4-12 week of age
3. Intracranial hemorrhage can occur
4. Intramuscular vitamin K prophylaxis at birth has a protective role

Correct answer: 1. Usually occurs in cow-milk fed babies

Explanation: Late onset hemorrhagic disease of newborn occur in infants at 2 to 12 weeks who are exclusively breast fed, because breast milk contains very low levels of vitamin K. Ref: William's Obstetrics, 23rd Edition, Chapter 29; Nelson's Essentials of Pediatrics, 17th Edition, Pages 606, 607.